Which is not associated with diabetes mellitus?
1. Cushing syndrome
2. Acromegaly
3. Hypothyroidism
4. Phaeochromocytoma

Correct answer: 3. Hypothyroidism

Explanation: Cortisol, growth hormone and catecholamines increase the blood sugar levels leading to impaired glucose tolerance or diabetes mellitus. whereas hypothyroidism is not associated with the blood sugar levels or diabetes mellitus